Skin over the angle of mandible is supplied by?
1. Trigeminal nerve
2. Posterior rami of C2, C3, C4
3. Cervical spinal nerve(C2-C3)
4. Cervical branch of mandibular nerve

Correct answer: 3. Cervical spinal nerve(C2-C3)

Explanation: ANSWER: (C) Cervical spinal nerve (C2-C3)REF: Gray's anatomy 39th edition page 515The Great auricular nerve forms part of the cervical plexus and is derived from the anterior primary rami of the second and third cervical spinal nerves. It passes up from the neck, lying on sternocleidomastoid, towards the angle of the jaw, and supplies much of the lower part of the auricle of the ear, and skin overlying the parotid gland.